Perampanel is
1. NMDA antagonist
2. AMPA antagonist
3. GABA mimetic
4. Calcium channel inhibition

Correct answer: 2. AMPA antagonist

Explanation: Perampanel is recently approved selective non-competitive antagonist of AMPA receptorwhich is used as add on therapy for partial seizure. Adverse effect of this drug is somnolence, weight gain Felbamate is NMDA inhibitor Barbiturates are GABA mimetic Ethosuximide , valproate inhibit the calcium channels.